Which of the following has propensity to metastasize through lymph nodes ?
1. Alveolar rhabdomyosarcoma
2. Osteosarcoma
3. Both
4. None

Correct answer: 1. Alveolar rhabdomyosarcoma

Explanation: Ans. is 'a' i.e., Alveolar rhabdomyosarcoma